CADIA System is used to check?
1. Progression of Periodontal Disease
2. Mobility of Teeth
3. Furcation Involvement
4. Bleeding Sites

Correct answer: 1. Progression of Periodontal Disease